Arachnophobia is fear of?
1. Dogs
2. Spiders
3. Death
4. Eating

Correct answer: 2. Spiders

Explanation: Ans is 'b' i.e. Spiders * Arachnophobia or arachnephobia is the fear of spiders and other arachnids such as scorpions.Other option* Fear of dogs - Sitaphobia* Dear of death - Thanatophobia* Fear of eating - Sitophobia